Which is not a part of HACEK ?
1. Hemophilus Aphrophilus
2. Acinetobacter Boumani
3. Cardiobacterium Hominis
4. Kingella Kingae

Correct answer: 2. Acinetobacter Boumani

Explanation: Ans. is 'b' i.e. Acinetobacter Baumannii The acronym HACEK refers to a group of fastidious slow growing bacteria normally resident in the mouth which can sometimes cause severe infections particularly endocarditis.Also knowBlood cultures from HACEK patients take 7 to 30 days to become positiveAntibiotic sensitivity tests are essential for effective therapy as drug resistance is very common.